In trauma patient safe airway maneuver is:
1. Chin lift.
2. Head tilt.
3. Jaw thrust
4. Both A& C

Correct answer: 4. Both A& C

Explanation: Chin lift and jaw thrust don't lead to neck movement hence safe in trauma patient.
Among both the process jaw thrust is safest.